Inheritance of ichthyosis vulgaris is
1. X linked recessive
2. X linked dominant
3. Autosomal recessive
4. Autosomal dominant

Correct answer: 4. Autosomal dominant

Explanation: Ichthyosis vulgaris is a type of ichthyosis, a group of related skin conditions that interfere with the skin's ability to shed dead skin cells, causing extremely dry, thick skin. Extremely dry, scaly skin is known as xerosis. Ichthyosis vulgaris (also known as "Autosomal dominant ichthyosis," and "Ichthyosis simplex") is a skin disorder causing dry, scaly skin. It is usually an autosomal dominant inherited disease (often associated with filaggrin), although a rare non-heritable version called acquired ichthyosis exists. Ref Harrison20th edition pg 1232